Superantigens causes -
1. Polyclonal activation of T-cells
2. Stimulation of B cells
3. Enhancement of phagocytosis
4. Activation of complement

Correct answer: 1. Polyclonal activation of T-cells

Explanation: Superantigens are a class of antigens that cause non-specific activation of T-cells resulting in polyclonal T cell activation and massive cytokine release. Superantigens bind first to the MHC Class II and then coordinate to the variable alpha or beta chain of T-cell Receptors . Ref: Ananthanarayan & Panikers textbook of microbiology 9th edition pg:90